A 32 years lady present with shoulder tip pain and diagnosis is pan coast tumour and presents with miosis. Diagnosis is
1. Horner syndrome
2. Thoracic outlet syndrome
3. Aberrant right subclavian artery
4. Upper trunk of brachial plexus injury

Correct answer: 1. Horner syndrome

Explanation: Pan-coast tumor can cause compression of sympathetic ganglion resulting in Horner syndrome. These tumors are associated with Pancoast syndrome, characterized by pain, that may arise in shoulder / chest wall & characteristically radiates to ulnar surface of hand Features of Horner's syndrome: P - Ptosis M - Miosis E - Enophthalmos A- Anhidrosis L - Loss of ciliospinal reflex